A patient develops compartment syndrome (Swelling, pain and numbness) following manipulation & plaster for fracture of both bones of leg. What is the best treatment?
1. Split the plaster
2. Infusion of low molecular wt dextran
3. Elevate the leg after splitting the plaster
4. Do operative decompression of fascial compartment

Correct answer: 4. Do operative decompression of fascial compartment

Explanation: D i.e. Do operative decompression of fascial compartment